Which stage is characterized by beginning of mineralization and root formation:
1. Advanced Bell Stage.
2. Early Bell Stage.
3. Bus Stage .
4. Cap Stage.

Correct answer: 1. Advanced Bell Stage.